Surfactant contains?
1. DPCC
2. Nitros oxide
3. Angiotensin
4. VIP

Correct answer: 1. DPCC

Explanation: The low surface tension when the alveoli are small is due to the presence in the fluid lining the alveoli of surfactant, a lipid surface-tension-lowering agent. Surfactant is a mixture of dipalmitoylphosphatidylcholine (DPPC), other lipids, and proteins.Ref: Ganong review of medical physiology 23rd edition Page no: 597